Nerve root of pudendal nerve is-
1. S1 S2 S3
2. S2 S3 S4
3. S3-S4
4. S2-S3

Correct answer: 2. S2 S3 S4

Explanation: Ans. is 'b' i.e., S2 S3 S4 o Has been explained in previous session